The standard perforated tray for use with alginate impression materials may be brought to more customized contour by:
1. Utility wax
2. Base plate wax
3. Beading wax
4. Boxing wax

Correct answer: 1. Utility wax